Ideal imaging method for diagnosis of hydrocephalous in infant is
1. X-Ray
2. CT Scan
3. USG
4. MRI

Correct answer: 3. USG

Explanation: C i.e. USG